If angle of mandible is obtuse it means that the bone belongs to -a) Adult maleb) Adult femalec) Young female childd)  Elderly person
1. ab
2. cd
3. bd
4. ac

Correct answer: 2. cd